Which of the following helps in generating oxygen burst in the neutrophils?
1. Superoxide dismutase
2. Catalase
3. Glutathione peroxidase
4. NADPH oxidase

Correct answer: 4. NADPH oxidase

Explanation: O2 Dependent Killing:- Most efficient bactericidal system in Neutrophils- H2O2- MPO-halide System.